Which is not the action of TGF?
1. Anti-inflammatory
2. Proliferation of fibrous tissue
3. Inhibition of metalloproteinases
4. Anaphylaxis

Correct answer: 4. Anaphylaxis